Theophyline levels in blood are increased by:
1. Barbiturates
2. Methotrexate
3. Cimetidine
4. All of the above

Correct answer: 3. Cimetidine

Explanation: Cimetidine